Which of the following is false about elongation of cervix?
1. The supravaginal portion is stretched and elongated
2. Usually associated with second and third degree prolapse of uterus
3. It is uncommon for the gland to elongate beyond 5cms
4. It is invariably associated with retroverted uterus

Correct answer: 3. It is uncommon for the gland to elongate beyond 5cms

Explanation: Ans. is 'c' i.e., It is uncommon for the gland to elongate beyond 5cms Elongation of the Cervixo In this condition the supravaginal portion of the cervix is well supported by Mackenrodt ligaments but the vaginal portion of the cervix prolapses with the vagina so the supravaginal portion gets stretched and elongatedo This usually happens with second degree and third degree prolapse of the uteruso With procidentia, the entire uterus slides with the vagina and hence the cervix retains its normal lengtho It is not uncommon for the cervix to elongate to as much as 10 cm in lengtho The cervix may show hypertrophy and congestiono The uterus is invariably retroverted.